Most common site of fertilisation is:
1. Interstitiuin
2. Isthumus
3. Ampulla
4. Infundibulum

Correct answer: 3. Ampulla

Explanation: Ans: C (Ampulla) Ref: Dutta: Textbook of Obstetrics 7th ed pg 21. 22Explanation:FERTILISATIONProcess of fusion of sperm with ovum forming zygote.Fertilisation occurs in the ampullary end of the tube.From ovulation to implantation* Complete dissolution of corona radiata occurs by chemical action of hyaluronidase liberated from acrosomal cap of hundreds of sperm present at the site.